Commonest site of amoebiasis in the gut -a)  Ileumb)  Caecumc)  Ascending colond)  Transverse colone)  Sigmoid colon
1. bc
2. c
3. ac
4. ad

Correct answer: 1. bc

Explanation: E. histolytica forms flask shaped ulcers.
Amebiasis most frequently involves the cecum and ascending colon, followed in order by the sigmoid, rectum, and appendix.